Tarsometatarsal amputation is also known as -
1. Chopart's amputation
2. Lisfranc amputation
3. Pirogoff amputation
4. Symes amputation

Correct answer: 2. Lisfranc amputation

Explanation: Partial foot amputation The problem here is that the tendo-Achillis tends to pull the foot into equinus; this can be prevented by splintage, tenotomy or tendon transfers. The foot may be amputated at any convenient level; for example, through the mid-tarsal joints (Chopart), through the tarsometatarsal joints (LISFRANC's), through the metatarsal bones or through the metatarsophalangeal joints. It is best to disregard the classic descriptions and to leave as long a foot as possible provided it is plantigrade and that an adequate flap of plantar skin can be obtained. The only prosthesis needed is a specially moulded slipper worn inside a normal shoe. REF:Apley's system of orthopaedics- 9th edn pg no 327 .